Idiopathic degeneration of the proximal bundle branch fibres is known as:
1. Lev's Disease
2. Lenegre's Disease
3. Ashman Phenomenon
4. Brugada Syndrome

Correct answer: 1. Lev's Disease

Explanation: Answer is A (Lev's Disease) Progressive idiopathic fibrosis of the proximal bundle branch fibres is termed as LEV Disease. Lev's Disease Progressive idiopathic fibrosis of the proximal bundle branch fibres (usually occurs in relatively older population) Lenegre's Disease Progressive idiopathic fibrosis of the more distal/peripheral portion of the bundle branches (usually occurs in younger population) Ashman Transient bundle branch block resulting from an aberrant intraventricular conduction abnormality that Phenomenon occurs in response to a change in QRS cycle length (When a short cycle follows a long one). RBBB aberration is typically more common than LBBB. Ashman's phenomenon should be suspected in atrial fibrillation when there is a long cycle followed by a short cycle, with the subsequent QRS complex manifesting a right bundle branch block pattern. Brugada Syndrome Syncopal episodes and/or sudden death with a characteristic electrocardiogram (ECG) pattern of right bundle branch block and ST segment elevation in leads V1 to V3. The diagnosis Brugada syndrome is based on the history of sudden death with the typical electrocardiographic pattern of ST segment elevation in leads V1-V3, with or without right bundle branch block. The presence of RBBB is not essential to the diagnosis of Brugada Syndrome. Patients with Brugada Syndrome may have a structurally normal heart.